Serial interval is a measure of ?
1. Sensitivity
2. Specificity
3. Incubation period
4. Positive predictive value

Correct answer: 3. Incubation period

Explanation: Ans. is 'c' i.e., Incubation period "In actual pracatice we seldom know precisely the incubation period of a disease. But we know, when an outbreak of a disease occur, say in a family which is the smallest group and also a closed group, there is an initial primary case. The primary case is followed by two or three secondary cases with in a short time. The gap in time between the onset primary case and the secondary case is called "serial interval". By collecting information about the whole series of such onset, we get a distribution of secondary case from which we can guess the incubation period of disease"